Most important cytokine for type II lepra reaction is ?
1. IL 1
2. IL 6
3. TNF alpha
4. INF gamma

Correct answer: 3. TNF alpha

Explanation: Ans. is 'c' i.e., TNF alpha